Oliguric phase of ARF is characterized by A/E
1. Chest pain
2. Acidosis
3. Hypertension
4. Hypokalemia

Correct answer: 4. Hypokalemia

Explanation: Ans. is 'd' i.e., Hypokalemia